Sound reaches maximum amplitude depending on its frequency at:
1. Tympanic membrane
2. Ear ossicles
3. Semicircular canals
4. B asilar membrane

Correct answer: 4. B asilar membrane

Explanation: Ref: Diseases of Ear, Nose & Throat, by Dhingra 5th edition. Chapter on Physiology of EarExplanation:A sound wave depending on its frequency reaches maximum amplitude on a particular place on hasilar membrane and stimulates that segment.Higher frequencies are represented in the basal turn of cochlea and progressively lower ones towards the apex.